A patient with diarrhea due to cholera has weak thready pulse, clammy skin, hypotension and CNS symptoms. This occurs when the fluid loss is_____ % of body weight?
1. 2
2. 5
3. 7
4. >10

Correct answer: 4. >10

Explanation: Ans. d (>10). (Ref. Harrison, Internal Medicine, 16th ed., 911) Cholera & diarrheaFluid loss13-5% of body weightThirst develops25-8% of body weightPostural hypotension, weakness, tachycardia, decreasing skin turgor.3>10% of body weightOliguria, weak or absent pulses, sunken eyes, wrinkled skin, CNS symptoms (somnolence & coma) are characteristic.